All of the following belong to the steroid receptor superfamily EXCEPT:
1. Vitamin D3 receptor
2. Thyroid receptor
3. Retinoid receptor
4. Epinephrine receptor

Correct answer: 4. Epinephrine receptor